A factory worker presented with tremors, personality change and a blue line in gums. Probable diagnosis is chronic poisoning with:
1. Lead
2. Mercury
3. Arsenic
4. Thallium

Correct answer: 2. Mercury

Explanation: Ans. Mercury